A 25 year old male patient complains of frequent cheek biting. According to Dewey’s modification of Angle’s Class I malocclusion, which category would the malocclusion displayed by the patient be classified as?
1. Type 1
2. Type 3
3. Type 4
4. Type 5

Correct answer: 3. Type 4

Explanation: Dewey modified Angle’s Class I and III malocclusion by segregating malposition of anterior and posterior segments.
CL I: 

Type 1: Crowding of maxillary anterior teeth
Type 2: Proclined maxillary incisors
Type 3: Maxillary incisors are in crossbite
Type 4: Posterior cross-bite
Type 5: Mesial drift of molars

CL II : (No modifications)
CL III: 

Type 1: Edge to edge bite.
Type 2: Crowded mandibular incisors and lingual to maxillary incisors.
Type 3: Underdeveloped crowded maxillary arch and a well developed mandibular arch.

Ref: Kharbanda OP. Orthodontics: Diagnosis of & Management of Malocclusion & Dentofacial Deformities. 3rd edition page 333
Image: Montaruli G, Laurenziello M, LO RUSSO L, Chimenti C, LO MUZIO L, Ciavarella D. Bilateral or Unilateral Cross-Bite Treatment with Nickel Titanium Palatal Expander (NPE-2) in Young Adults.